A person 'X' hits another person 'Y' with a wooden stick on provocation. This leads to formation of a bruise 3 cm x 3 cm on the forearm. No other injuries are noted. Which of the following is true, regarding his punishment:
1. Imprisonment for one year and/ or fine of Rs 1,000
2. Imprisonment for two year and/ or fine of Rs 5,000
3. Imprisonment for one month and/ or fine of Rs 500
4. Rigorous imprisonment for six months

Correct answer: 3. Imprisonment for one month and/ or fine of Rs 500

Explanation: Ans. (C). Imprisonment for one month and/ or fine of Rs 500Voluntarily causing hurt on provocation is punishable under 334 IPC - One month Imprisonment & 500 rupees.